Which of the following agents enhances the bioavailability of levodopa in patients with Parkinson's disease :
1. Amantadine
2. Ropinirole
3. Entacapone
4. Selegiline

Correct answer: 3. Entacapone

Explanation: Levodopa metabolized in the body by two enzymes; MAO and COMT. Thus MAO inhibitors like selegiline and COMT inhibitors like entacapone and tolcapone can increase the bioavailability of dopa.